Alpha-1 antitrypsin deficiency occurs in
1. Emphysema
2. Bronchiectasis
3. Empyema
4. Bronchogenic carcinoma

Correct answer: 1. Emphysema

Explanation: Alpha-1 antitrypsin deficiency (A1AD or AATD) is a genetic disorder that may result in lung disease or liver disease. Onset of lung problems is typically between 20 and 50 years old. This may result in shortness of breath, wheezing, or an increased risk of lung infections Affected individuals often developemphysema, which is a lung disease caused by damage to the small air sacs in the lungs (alveoli). ... In rare cases, people with alpha-1 antitrypsin deficiency develop a skin condition called panniculitis, which ischaracterized by hardened skin with painful lumps or patches.